Life span of CuT 380 A is -
1. 10 years
2. 8 years
3. 4 years
4. 5 years

Correct answer: 1. 10 years

Explanation: Ans. is 'a' i.e., 10 years o The longest life span is of CuT380A: 10 years.IUDsLife spanFirst generation:Lippe's loop (obsolete)--Second generationCopper-T--CuT-200-B4 yrCuT-2003yrCuT-220C--Nova-T5 yrMultiload - 2503 yr3755 yrCuT-3 80A10 yrThird generationProgestasert1 yrLNG-20 (Mirena)5 yr (Ref: Novak p263; Note that Park mentions the life span of mirena to be 10 yrs)